Angina ,dyspnea and syncope is seen with:
1. Pulmonary stenosis
2. Atrial septal defect
3. Ventricular septal defect
4. Aortic stenosis

Correct answer: 4. Aortic stenosis

Explanation: The valve area is approximately 0.5-1cmsquare in severe aortic stenosis whereas it is normally approximately 4cmsquare. The aortic stenosis leads to concentric left ventricular hypertrophy. If untreated most pateints with aortic stenosis will die within 5yrs of developing angina ,within 3yrs of developing syncope,and within 2yrs of CHF onset .(ref Robbins 9th/555)